All of the following are seen with bile duct stone except
1. Obstructive jaundice
2. Distended and palpable gallbladder
3. Pruritus
4. Clay coloured stools

Correct answer: 2. Distended and palpable gallbladder

Explanation: Clinical features of CBD stones: CBD stones may be silent and are often discovered incidentally. In these patients, biliary obstruction is transient and laboratory tests may be normal Clinical features suspicious for biliary obstruction due to CBD stones include biliary colic, jaundice, clay coloured stools and darkening of urine Fever and chills may be present in patients with choledocholithiasisand cholangitis Serum bilirubin, aminotransferases and ALP are commonly elevated in patients with biliary obstruction but are neither sensitive nor specific for the presence of CBD stones Ref: Sabiston 20th edition Pgno :1494